All of the following are contraindication to Pertussis containing vaccine except
1. Uncontrolled epilepsy
2. Anaphylactic reaction to previous dose
3. Egg allergy
4. Progressive encephalopathy

Correct answer: 3. Egg allergy

Explanation: - Yellow fever vaccine is contraindicated in Egg allergy, not Pertussis. - Remaining options given- epilepsy; anaphylactic shock on previous dose, progressive encephalopathy are CI to pertussis. - HHE & persistent inconsolable crying are adverse effects of pertussis vaccine.